Vision 2020 "The right to sight" includes all except –
1. Trachoma
2. Epidemic conjunctivitis
3. Cataract
4. Onchocerciasis

Correct answer: 2. Epidemic conjunctivitis

Explanation: Vision 2020 : The Right to Sight : Global Initiative for Elimination of Avoidable blindness 

After the realization that unless blindness control efforts are intensified, the prevalence of blindness will double by 2020 AD, the WHO along with an International Partnership committee launched the Vision 2020 Initiative in 1995.
Three essential elements of a global plan were set out as follows.


Setting up strategies and targets for disease control.
Planning human resource needs and development.
Addressing infrastructure needs and development.


Under the global initiative for the elimination of all avoidable blindness by 2020 AD, all countries are commited to a minimum programme. Countries can include other problems than those identified under the minimum programme based on their local situation and needs.
The diseases identified for global elimination include : -



Cataract blindness
Trachoma blindness and transmission
Onchorerciasis
Avoidable causes of childhood blindness
Refractive errors and low vision


Targets have been set up for each of the component diseases for the next 20 years.
Above 5 diseases were for global vision 2020. Indian vision 2020 includes following seven diseases.


Cataract blindness      
Trachoma blindness and transmission          
Childhood blindness    
Refractive errors and low vision
Glaucoma
Diabetic retinopathy
Corneal blindness